Most sensitive test for HIV infection -
1. Western blot
2. PCR
3. Agglutination test
4. CFT

Correct answer: 2. PCR

Explanation: repeat